A benign tumour in the pterygoid canal would spare which of the following nerve fibers
1. Postganglionic parasympathetic fibers
2. Taste fibers from the palate
3. Postganglionic sympathetic fibers
4. General visceral afferent (GVA) fibers

Correct answer: 1. Postganglionic parasympathetic fibers

Explanation: Postganglionic parasympathetic fibers The nerve of the pterygoid canal (Vidian nerve), formed by the junction of the great (superficial)petrosal nerve and the deep petrosal nerve in the cartilaginous substance which fills the foramen lacerum, passes forward, through the pterygoid canal, and joins the pterygopalatine ganglion. Greater petrosal nerve carries taste fibers from palate as well as preganglionic secretomotor(parasympathetic) fibers towards the pterygopalatine ganglion Deep petrosal nerve carries the postganglionic sympathetic fibers from T1 spinal segment (superior cervical ganglion)